Antigen involved in post transplant rejection?
1. HL A-Antigen
2. Nuclear antigen
3. Polysaccharide
4. DHA

Correct answer: 1. HL A-Antigen

Explanation: Ans. is 'a' i.e., HLA - antigen o For rejection of graft, there must be some antigen that is recognized as foreign and the most important antigen is HLA antigen of grafted tissue.